A young man develops gross hematuria 3 days after an attack of URTI; likely renal pathology is -
1. Acute glomerulonephritis
2. Minimal change disease
3. IgA nephropathy
4. Membranous glomerulonephritis

Correct answer: 3. IgA nephropathy